A 60 yr old man with C/O progressive dementia for the past 6 months with intermittent jerky movement involving whole body from 2 days. EEG showed sharp bipolar spikes. Diagnosis is
1. Alzheimer's
2. Creutzfeld Jakob disease
3. Lewy body dementia
4. Herpes simplex encephalitis

Correct answer: 2. Creutzfeld Jakob disease

Explanation: EEG findings... 1) Periodic sharp wave complex = Creutz feldt kacob disease 2) periodic lateralizing discharge =Herpes simplex encephalitis Ref Harrison20th edition pg 2456